Satellite lesions in the cornea may be seen in:
1. Fungal corneal ulcer
2. Bacterial corneal ulcer
3. Viral corneal ulcer
4. None of the above

Correct answer: 1. Fungal corneal ulcer

Explanation: Ans. Fungal corneal ulcer